Surfactant is made up of
1. Fibrin
2. Mucoprotein
3. Phospholipids
4. Fibrinogen

Correct answer: 3. Phospholipids

Explanation: Ans. (c) Phospholipids(Ref: Ganong, 25th ed/p.630)Composition of surfactantSurfactant lipidsSurfactant proteins* Account for approximately 90% of surfactant (phospholipids)Major surfactant lipids are,* Dipalmotoyl phosphatidylcholine (DPPC) - Lecithin- most abundant component of surfactant* Phospthatidylglycerol* Account for approximately 10% of surfactantMajor surfactant proteins are,* Surfactant protein-A (SP-A)* Surfactant protein-B (SP-B)* Surfactant protein-C (SP-C)* Surfactant protein-D (SP-D)